The recurrence of pleomorphic adenoma is attributed
1. Presence  of an incomplete capsule
2. Mixed origin
3. Absence of capsule
4. Perineural spread

Correct answer: 1. Presence  of an incomplete capsule